Which is the most potent stimulator of naive cell?
1. Mature dendritic cell
2. Follicular dendritic cell
3. Macrophages
4. B cell

Correct answer: 1. Mature dendritic cell

Explanation: . Mature dendritic cell